A 34-year-old woman is admitted to the hospital after a car collision. Physical examination reveals a mallet finger. Which of the following conditions is expected to be present during radiographic examination?
1. A lesion of the ulnar nerve at the distal flexor crease of the wrist
2. A separation of the extension expansion over the middle interphalangeal joint
3. Compression of the deep ulnar nerve by dislocation of the lunate bone
4. Avulsion fracture of the dorsum of the distal phalanx

Correct answer: 4. Avulsion fracture of the dorsum of the distal phalanx

Explanation: Mallet finger, also known as baseball finger, is a deformity in which the finger will be permanently flexed at the distal interphalangeal joint, due to avulsion of the insertion of the extensor tendon at the distal phalanx.